A 28-year-old woman with cystic fibrosis presents with increasing shortness of breath and production of abundant foul-smelling sputum. The sputum in this patient is most likely associated with which of the following pulmonary conditions?
1. Atelectasis
2. Bronchiectasis
3. Empyema
4. Pneumothorax

Correct answer: 2. Bronchiectasis

Explanation: Bronchiectasis. Bronchiectasis refers to the irreversible dilation of bronchi, which is caused by the destruction of the muscular and elastic elements of bronchial walls. Bronchiectasis is often localized to a segment of the lung distal to mechanical obstruction of a bronchus by a variety of lesions, including tumors, inhaled foreign bodies, mucous plugs (e.g., cystic fibrosis and asthma), and compressive lymphadenopathy. Nonobstructive bronchiectasis is usually a complication of chronic pulmonary infections. Patients with bronchiectasis present with chronic productive cough, often with copious mucopurulent sputum. Pyothorax (choice E) is infection of pleural effusion.Diagnosis: Bronchiectasis, cystic fibrosis